With the use of DMPA contraceptive, the side effects are all of the following except
1. Change in quantity and quality of breast milk
2. Weight gain
3. Irregular bleeding
4. Amenorrhea

Correct answer: 1. Change in quantity and quality of breast milk

Explanation: The advantage of DMPA is that it does not affect lactation Side effects include weight gain, irregular menstrual bleeding and prolonged infertility after its use Reference : Park's textbook of preventive and social medicine, 23rd edition, Page no: 503